Cardiomyopathy is caused by which monoclonal antibody?
1. Trastuzumab
2. Infliximab
3. Eternacept
4. Adalimumab

Correct answer: 1. Trastuzumab

Explanation: Ans. is 'a' i.e., Trastuzumab o Trastuzumab, a HER2/neu receptor blocker and is used in breast carcinoma causes dilated cardiomyopathy.